Parents bring their infant to the clinic, seeking treatment for vomiting and diarrhoea that has lasted for 2 days. On assessment, the nurse in charge detects dry mucous membranes and lethargy. What other findings suggest a fluid volume deficit?
1. A sunken fontanel
2. Decreased pulse rate
3. Increased blood pressure
4. Low urine specific gravity

Correct answer: 1. A sunken fontanel

Explanation: Option A: In an infant, signs of fluid volume deficit (dehydration) include sunken fontanels, increased pulse rate, and decreased blood pressure.
Options B  and C: These options are the opposite of the symptoms in a fluid volume deficit.
Option D: This is not a symptom of fluid volume deficit.